Quarantine was originally introduced as a protection against:
1. Plague
2. Tuberculosis
3. AIDS
4. Malaria

Correct answer: 1. Plague

Explanation: In 14th century, quarantine was introduced in Europe to protect against transmission of plague. Ships, crews, travellers were detained for a 40 day period. Also remember, list of Quarantinable diseases are: Diphtheria Infectious tuberculosis Plague Small pox Yellow fever SARS Viral hemorrhagic fever Cholera Flu